Widened anionic gap is not seen in -
1. Acute renal failure
2. Diarrhea
3. Lactic acidosis
4. Diabetic Ketoacidosis

Correct answer: 2. Diarrhea

Explanation: Causes of High-Anion Gap Metabolic Acidosis *Lactic acidosis *Ketoacidosis Diabetic Alcoholic Starvation *Renal failure (acute and chronic) *toxins: ethylene glycol methanol salicylates propylene glycol pyroglutamic acid (Ref: Harrison's principles of internal medicine,18E , pg 365)